Collagen accumulated in space of Disse in case of liver cirrhosis are
1. 1 and 4
2. 2 and 4
3. 1 and 3
4. 2 and 3

Correct answer: 3. 1 and 3

Explanation: In the normal liver, ECM consisting of interstitial collagens(fibril forming collagen types I, II, V and XI) is present only in the liver capsule, in portal tracts and around central veins. In cirrhosis, types I and III collagen and other ECM components are deposited in the space of disse. ROBBINS BASIC PATHOLOGY NINTH EDITION PAGE 607